Which of following is not an absolute contraindication of tympanoplasty?
1. Malignant otits externa
2. Tumor of middle ear
3. Poor eustachian tube function
4. Active ear discharge

Correct answer: 3. Poor eustachian tube function

Explanation: Ans. is 'c' i.e., Poor eustachian tube function Absolute contraindications for tympanoplastyActive infectionMalignant otitis externaMiddle/external ear neoplasmsUncontrolled cholesteatomaMeningitisPoor Eustachian tube function is a relative contraindication.